Potassium channel opener with anti–anginal activity is:
1. Nicorandil
2. Dipyridamole
3. Trimetazidine
4. Oxyfedrine

Correct answer: 1. Nicorandil